Not true about superior vena cava
1. Opens into right ventricle
2. Enters the heart at level of 3rd costal
3. Pierces paricardium at 2nd costal cartilage
4. Receives azygos vein behind sternal angle

Correct answer: 1. Opens into right ventricle

Explanation: SVC opens in to right atrium (not right ventricle).Superior vena-cava SVC collects blood from the upper half of the body and drains into the right atrium. It is formed by the union of two brachiocephalic veins at the level of lower border of 1" right costal cartilage. It passes vertically downwards behind the right border of sternum and piercing the pericardium at the level of the second costal cartilage, enters the upper border of the right atrium to end in the upper and posterior part of sinus venorum at the lower border of third right costal cartilage (opposite Ts vertebra).Behind the sternal angle (T4 vertebral level), SVC receives the azygos vein.SVC is divided into two parts -i) Upper half (extrapericardial) ii) Lower half (intrapericardial)